Chemoradiation was given to a patient. Which drug given will reduce toxicity caused by radiotherapy?
1. Vitamin A
2. Gemcitabine
3. Amifostine
4. Actinomycin D

Correct answer: 3. Amifostine

Explanation: Ref: Cancer Medicine 6th ed. pg. 595Radiosensitizers vs Radiation protection agentRadiosensitizersRadiation protection agentActinomycinGemcitabineHydroxyureaMetronidazoleMisonidazole5-FUMitomycinPaclitaxelAmifistoneGM-CSFTL-1